Which of the following cranial nerve does NOT have parasympathetic components?
1. Oculomotor nerve
2. Trochlear
3. Facial
4. Glossopharyngeal

Correct answer: 2. Trochlear

Explanation: Visceral efferent fibers are also called general visceral efferent fibers (preganglionic parasympathetic components of the cranial division); they travel within nerves III (smooth muscles of the inner eye), VII (salivatory and lacrimal glands), IX (the parotid gland), and X (the muscles of the heart, lung, and bowel that are involved in movement and secretion. Ref: Waxman S.G. (2010). Chapter 8. Cranial Nerves and Pathways. In S.G. Waxman (Ed), Clinical Neuroanatomy, 26e.